WRONG about venous drainage of heart:
1. Coronary sinus is guarded by Thebesian valve
2. Middle cardiac vein lies in posterior atrioventricular groove
3. Great cardiac vein accompanies left anterior descending artery
4. Venae cordis minimi open into all four chambers

Correct answer: 2. Middle cardiac vein lies in posterior atrioventricular groove

Explanation: Middle cardiac vein lies in posterior interventricular (not atrioventricular) groove.